A 55 year old male with vision 6/12 in both eyes, complaints of Glare at night, especially while driving. What could be the possible diagnosis?
1. Diabetic retinopathy
2. Age related macular degeneration
3. Corneal degeneration
4. Opacification of lens

Correct answer: 4. Opacification of lens

Explanation: Ans. (d) Opacification of lensRef: Kanski 7/e, p. 270; Khurana 6/e, p. 191Subcapsular cataract (Posterior) - patients are particularly troubled by conditions of miosis such as produced by headlights of oncoming cars and bright sunlight. This is one of the earliest visual disturbances with cataract